The occlusal surface of an abutment tooth with acrylic
veneering should be
1. In acrylic
2. In porcelain fused to metal
3. In metal 0.5 mm thick
4. In metal 0.25 mm thick

Correct answer: 3. In metal 0.5 mm thick